25-Dihydroxycholecalciferol is converted to 1,25-dihydroxycholecalciferol in:
1. Skin
2. Lung
3. Liver
4. Kidney

Correct answer: 4. Kidney